Best time for hearing assessment in an infant ?
1. 1st month of life
2. 3-6 months
3. 6-9 months
4. 9-12 months

Correct answer: 1. 1st month of life

Explanation: Ans. is 'a' i.e., 1st month of life The American Academy of Pediatrics (AAP), Joint Committee on Infant hearing (2007), has recommended that all newborn infants be screened for hearing impairment either as neonate or before 1 month of age and that those infants who fail newborn screening have an audiologic examination to varify hearing loss before age of 3 months.